Middle lobe of prostrate is present in between:
1. Prostratic urethra & Ejaculation duct
2. Prostratic urethra & rectum
3. Ejaculation duct & pubis
4. Pubis and rectum

Correct answer: 1. Prostratic urethra & Ejaculation duct

Explanation: A i.e. Prostratic urethra & Ejaculation duct Board Review series AnatomyMedian lobe which lies between urethra and the ejaculatory duct is prone to benign hypertrophy. QPosterior lobe, which lies behind the urethra and below the ejaculatory duct contains glandular tissue and is prone to carcinomatous transformation.Q